Features of tuberous sclerosis are all except -
1. Ash leaf macules
2. Adenoma sebaceum
3. Angiomyolipoma of kidney
4. Erythema migrans

Correct answer: 4. Erythema migrans

Explanation: Ans. is 'd' i.e., Erythema migrans* Tuberous sclerosis is a genetically determined neuro-cutaneous syndromeTuberous Sclerosis||||Cutaneous involvementNeurological involvementAssociated benign neoplasms* Adenoma sebacium : facial angiofibroma* Ash-leaf shaped hypopigmented macules* Shagreen patches : yellowish thickening of skin over Lumbosacral region of back* Depigmented Nevi* Epilepsy, Seizures* Intellectual disability* Hyprocephalus* Subependymal nodules with calcification on neuroimaging is characteristic* Rhabdomyoma of myocardium* Angiomyoma of kidney/ liver pancreas/adrenals* Ependymomas and childhood Subependymal giant cell Astrocytoma